Which is a T cell tumor?
1. Burkitt's lymphoma
2. Mycosis fungiodes
3. Mantel cell Leukemia
4. Hairy cell Leukemia

Correct answer: 2. Mycosis fungiodes